True statements about Y. Pestis is/are ?
1. Gram positive
2. Non-motile
3. Benzyl penicillin is given in prophylaxis
4. All

Correct answer: 2. Non-motile

Explanation: Ans. is `b' i.e., Non-motile . Laboratory confirmation of plague depends on the isolation of Y. pestis from cultures of body fluid or tissues. Cultures of three blood samples taken over a period of 45 minutes, before the treatment, will usually result in isolation of bacteria. Patients in whom respiratory plague is suspected should be managed under isolation, with use of respiratory droplet precaution with use of respiratory droplet precaution until pneumonia has been ruled out or until 48 hrs of effective antimicrobial therapy has been administered, after which standard infection - Control precautions are adequate.